Arrange the enzymes involved in purine catabolism in sequence: A. Uricase B. Xanthine Oxidase C. ADA D. Purine nucleoside phosphorylase
1. A -C-B- D
2. B -A-D- C
3. D -B-A- C
4. C -D-B- A

Correct answer: 4. C -D-B- A